A 60 year old woman with fracture neck of femur presents to the emergency department a few days after her injury with sudden onset breathlessness and chest pain. The most likely diagnosis is:
1. Myocardial Infarction
2. Deep Vein Thrombosis
3. Pulmonary Embolism
4. Pleuritis

Correct answer: 3. Pulmonary Embolism

Explanation: Answer is C (Pulmonary Embolism): Sudden onset of Dyspnea and Chest Pain following injury, surgery or immobilization strongly suggests a diagnosis of pulmonary thromboembolism.